Equilibrium potential for an ion is calculated using
1. Gibbs Donnan equation
2. Goldman equation
3. Nernst equation
4. Henderson Hesselbach equation

Correct answer: 3. Nernst equation

Explanation: Equilibrium potential for an ion is calculated by Nernst equation. the Nernst potential corre- sponding to this ratio is -94 millivolts because the loga- rithm of 35 is 1.54, and this multiplied by -61 millivolts is -94 millivolts. Therefore, if potassium ions were the only factor causing the resting potential, the resting potential inside the fiber would be equal to -94 millivolts, as shown in the figure. (REF: TEXTBOOK OF MEDICAL PHYSIOLOGY GEETHA N 2 EDITION, 28)